Standard deviation is defined as:
1. Value of middle observation when data is arranged in ascending order.
2. Arithmetic mean
3. Dispersion of values about the mean
4. Most frequently occurring value

Correct answer: 3. Dispersion of values about the mean

Explanation: Ans. C: Dispersion of values about the mean The steps are: Compute the mean for the data set. Compute the deviation by subtracting the mean from each value. Square each individual deviation. Add up the squared deviations. Divide by one less than the sample size. Take the square root. Standard deviation gives us an idea of the spread of the dispersion; that the larger the standard deviation, the greater the dispersion of values about the mean.